Cullen's is/sign are seen:
1. Peritonitis
2. Chronic pancreatitis
3. Pancreatic cancer
4. Acute pancreatitis

Correct answer: 4. Acute pancreatitis

Explanation: Ans: D (Acute pancreatitis} " Bleeding into the fascial planes can prod uce bl uish discolouration of the flanks (Grey Turner's sign) or umbilicus (Cullen's sign). Neither sign is pathognomonic of acute pancreatitis; Cullens sign was first described in association with rupture of an ectopic pregnancy. Subcutaneous fat necrosis may produce small, red, tender nodules on the skin of the legs"- L&B 26th/1128